Confirmatory test for the diagnosis of Amyloidosis-
1. Diagnostic peritoneal lavage
2. Tongue biopsy
3. Rectal biopsy
4. Whole body CT scan

Correct answer: 3. Rectal biopsy

Explanation: Biopsy and subsequent Congo red staining is the most important tool in the diagnosis of amyloidosis. In general, biopsy is taken from the organ suspected to be involved. For example, renal biopsy is useful in the presence of urinary abnormalities. Rectal and gingival biopsy specimens contain amyloid in as many as 75% of cases with generalized amyloidosis Robbins page no. 172